MIDAS questionnaire is used to assess the extent and disability in which of the following conditions?
1. Migraine
2. Myasthenia Gravis
3. Temporal arteritis
4. Cluster headache

Correct answer: 1. Migraine

Explanation: MIDAS is Migraine Disability Assessment Score. It is used to assess the extend and disability associated with migraine.